All of the following are true about the papovavirus except -
1. They are non-enevloped icosahedral viruses
2. Produce papilloma and was in human
3. RNA virus
4. SV - 40 is oncogenic

Correct answer: 3. RNA virus

Explanation: Popova viruses are small non enveloped icosahedral DNA virus REF:ANANTHANARYANAN TEXTBOOK OF MICROBIOLOGY 9EDITION PGNO.553